All of the following are functions of CD4 helper cells EXCEPT:
1. Immunogenic memory
2. Produce immunoglobulins
3. Activate macrophage
4. Activate cytotoxic cells

Correct answer: 2. Produce immunoglobulins

Explanation: Ans. B i.e. Produce iinmunoglobulins B cells divide and transforms into plasma cells which synthesize immunoglobulin. T cells produce activation products (lymphokine) and induce cell mediated response